Heroin is?
1. Cocaine
2. Opioid
3. Dhatura
4. Cannabis

Correct answer: 2. Opioid

Explanation: Heroin is diacetyl morphine (semisynthetic form of opium) Classification of opiods: (1) Natural: morphine, codeine.(2) Semi-synthetic: heroin, hydromorphone, oxymorphone, oxycodone. (3) Synthetic: meperidine, methadone, paregoric, diphenoxylate, fentanyl, propoxyphene,levarphanol tarate.